Smack otherwise known as
1. Heroin
2. Cocaine
3. Cannabis
4. LSD

Correct answer: 1. Heroin

Explanation: Heroin : Smack, Junk, Brown Sugar, Tar Heroin + cocaine: Speed Ball Amphetamine: Superman's Drug, Speed Crystal MDMA: Ecstasy, Rave Drug, Club Drug, Hug drug MDMA + marijuana:Love boat LSD: Battery Acid, Golden Dragon, Heavenly Blue, Hippie Ketamine; Super K, Purple Drug Morphine: Miss Emma, God's Machine This is known as "Chasing the dragon" method used in heroin.